Drug C/I in pregnancy is :
1. Chloroquine
2. Primaquine
3. Amodiaquine
4. Quinine

Correct answer: 2. Primaquine

Explanation: Primaquine